Part of spine, involved in Rheumatoid arthritis is -
1. Cervical
2. Thoracic
3. Lumbar
4. Sacral

Correct answer: 1. Cervical